Consumer protection act was passed in ?
1. 1977
2. 1986
3. 1993
4. 1998

Correct answer: 2. 1986

Explanation: Ans. is 'b' i.e., 1986 Consumer protection act was passed in 1986.